The most common cause of short stature is ___________
1. Constitutional
2. Systemic diseases
3. Hypothyroidism
4. Growth hormone deficiency

Correct answer: 1. Constitutional

Explanation: short stature: Defined as height below third centile or more than 2 standard deviations below the median height for age and gender according to the population standard. Children whose stature s more than 3 SD below the population mean for age and gender are more likely to be suffering from pathological short stature as compared to those with stature between -2 and -3SD , who are more likely to be affected by familial or constitutional short stature. CAUSES:- 1. Most common cause is constitutional. 2. Familial 3. Pathological causes include: Undernutrition Chronic systemic illness Cerebral palsy Congenital heart disease Cystic fibrosis,asthma Malabsorption Acquired immunodeficiency syndrome 4. Endocrine causes include: Growth hormone deficiency Hypothyroidism Cushing syndrome Pseudohypoparathyroidism Precocious or delayed puberty 5. Psychosocial dwarfism 6. Children born small for gestational age. 7. Skeletal dysplasia; achondroplasia, rickets. 8. Genetic syndrome; Turner, Down syndrome. Reference: GHAI Essential pediatrics, 8th edition